Cavitatory lesions in lung are seen in -
1. Primary pulmonary tuberculosis
2. Staphylococcal pneumonia
3. Pneumoconiosis
4. Interstitial lung disease

Correct answer: 2. Staphylococcal pneumonia

Explanation: Cavitation seen in infections,tuberculosis (not primary),lungabscess,septic emboli,malignancies,etc Pneumonia ( bacterial pneumonia) Pneumonia is as an acute respiratory illness associated with recently developed radiological pulmonary shadowing that may be segmental, lobar or multilobar. The context in which pneumonia develops is highly suggestive of the likely organism(s) involved; therefore, pneumonias are usually classified as community- or hospital-acquired, or those occurring in immunocompromised hosts. 'Lobar pneumonia' is a radiological and pathological term referring to homogeneous consolidation of one or more lung lobes, often with associated pleural inflammation; bronchopneumonia refers to more patchy alveolar consolidation associated with bronchial and bronchiolar inflammation, often affecting both lower lobes Interstitial lung diseases ,pneumoconiosis will not present as cavities. Ref Davidson edition23rd pg 582